A 35 year old patient has Ca lung, with a past history of lung disease. Which drug should not be given -
1. Bleomycin
2. Vinblastin
3. Mithramycin
4. Adriamycin

Correct answer: 1. Bleomycin

Explanation: Ans. is 'a' i.e., Bleomycin o Bleomycin should not be given to the patient with history lung disease because it causes pulmonary fibrosis. Anticancer drugs causing pulmonary fibrosis oBleomycin o Carmustine o Cyclophosphamide o Melphalan Busulfan o Chlorambucil o Procarbazine o Mitomycin